A 65 years old patient of coronary artery disease was on Aspirin for 2 years. He now complains of black stools. Abdominal examination is normal. What is the most probable diagnosis?
1. Ileocecal TB
2. Ca colon
3. Esophageal varices
4. Duodenal ulcer

Correct answer: 4. Duodenal ulcer

Explanation: Duodenal ulcer Peptic ulcers are the most common cause of upper CI bleed of which NSAIDs is an important cause. So here in this patient on long duration NSAIDs and no other clinical abnormality the most likely cause is peptic ulcer disease.